Intellectual disability is defined if IQ is below:-
1. 60
2. 70
3. 80
4. 90

Correct answer: 2. 70

Explanation: Normal IQ 70 or above. Mild intellectual disability = 50-70 Moderate intellectual disability = 35-49 Severe intellectual disability = 20-34 Profound intellectual disability = <20.